The highest life time risk of pancreatic malignancy is seen with:
1. Peutz-Jeghers syndrome
2. Hereditary nonpolyposis colorectal cancer
3. Li-Fraumeni syndrome
4. Familial adenomatous polyposis

Correct answer: 1. Peutz-Jeghers syndrome

Explanation: Peutz-Jeghers, associated with mutations in the STK11 gene. It has the highest lifetime risk of pancreatic cancer. Genetically driven chronic causes of pancreatic cancers are hereditary pancreatitis, cystic fibrosis, and ataxia telangiectasia. Ref: Harrison, Edition -18, Page-788